All of the following are side effects of steroids except:
1. Hyperglycemia
2. Infection
3. Osteomalacia
4. Peptic ulcer

Correct answer: 3. Osteomalacia